Arch criminal in caries
1. Sucrose
2. Complex carbohydrate
3. Xylitol
4. Glucose

Correct answer: 1. Sucrose